Parotid capsule is derived from?
1. Superficial cervical fascia
2. Deep cervical fascia
3. Both of the above
4. None of the above

Correct answer: 2. Deep cervical fascia

Explanation: The parotid gland is enclosed within an unyielding parotid capsule, the deep part of which is derived from the investing layer of deep cervical fascia.